The best predictor of prognosis in congenital diaphragmatic hernia
1. Pulmonary hypertension
2. Gestational age at which baby is born
3. Time of surgery
4. Size of the herniated sac

Correct answer: 1. Pulmonary hypertension

Explanation: Pulmonary hypoplasia and immaturity of the lungs remain the leaden cause of death, from pulmonary hypertension (right-to-left shunting) with resultant hypoxemia. The best predictor of prognosis in congenital diaphragmatic hernia Pulmonary hypertension.